Most important predictor of coronary artery disease is:
1. VLDL
2. LDL
3. Chylomicron
4. LDL/HDL

Correct answer: 4. LDL/HDL

Explanation: Answer is D (LDL/HDL) `The ratio of either LDL cholesterol to HDL cholesterol (LDH / HDL ratio) or Total cholesterol to HDL cholesterol (TC /HDL ratio) is highly predictive of coronary heart disease' - Essential cardiology 2"d/6